All of the following amoebae live in the large intestine except -
1. E. Coli
2. E. Nana
3. E. Gingivalis
4. l.butschii

Correct answer: 3. E. Gingivalis

Explanation: E.gingivalis is a parasite of human mouth.It occurs as a commensal in gingival tissue aruond the teeth,particularly in the unhealthy tissues such as in pyorrhoea alveolaris. It may occur in apparently healthy mouths and dental plates if they are not cleaned properly (refer pgno:21 baveja 3 rd edition)